Thiazides diuretics causes all EXCEPT :
1. Hyperglycemia
2. Increased calcium excretion
3. Useful in congestive heart failure
4. Decreased uric acid excretion

Correct answer: 2. Increased calcium excretion

Explanation: Loop diuretics cause hypocalcemia by more excretion whereas thiazides cause hypercalcemia by decreasing its excretion.